Drug of choice for prophylaxis of Mania is
1. Diazepam
2. Lithium
3. Haloperidol
4. Fluoxetin

Correct answer: 2. Lithium

Explanation: B i.e. Lithium Condition Drug of choice Acute mania Prophylaxis of bipolar disorder Lithium (Li)Q LiQ Rapid cyclers ValproateQ or Li & L-T3 > Carbamazepine